Patient presents with discharge per urethrum and microscopy shows the presence of intracytoplasmic gram-negative diplococci; what is the most probable diagnosis?
1. Gonorrhoea
2. Donovanosis
3. Bacterial vaginosis
4. Syphilis

Correct answer: 1. Gonorrhoea

Explanation: Presence of discharge per urethrum in males with presence of intracytoplasmic gram-negative cocci are pointers to the presence of N. gonorrhea infection. Ref Harrison 20th edition pg 1256